The concavity at the root of the nose is used as a third point of reference with
1. Whipmix average axis facebow
2. Hanau
3. Dentatus
4. Kayo

Correct answer: 1. Whipmix average axis facebow